In condylar fracture with greater than 5 mm overlapping & greater than 37 degree angulation with fracture segment, what is the line of treatment?
1. Closed reduction and IMF
2. ORIF
3. Soft diet
4. No treatment

Correct answer: 2. ORIF